Phocomelia is best described as:
1. Defect in development of long bones
2. Defect in development of flat bones
3. Defect in intramembranous ossification
4. Defect in cartilage replacement by bones

Correct answer: 1. Defect in development of long bones

Explanation: ANSWER: (A) Defect in development of long bonesREF: Goodman Gillman manual of pharmacology and therapeutics 2008 edition page 897, http:// en.wikipedia.org/wiki/PhocomeliaPhocomelia is lack of development of proximal part of limb. The distal part being present is called as seal limb. Phocomelia is an extremely rare congenital disorder involving the limbs. Although various numbers of factors can cause phocomelia, the prominent roots come from the drug use of thalidomide and from genetic inheritance